Type I enamel etching pattern
1. Involves the dissolution of prism peripheries
2. Involves the dissolution of prism cores
3. Not related with enamel prism
4. Involves dentin and enamel

Correct answer: 2. Involves the dissolution of prism cores